The single most important laboratory test for determining the virulence of staphylococci is
1. Mannitol fermentation
2. Hemolysis of sheep erythrocytes
3. Detection of coagulase
4. The catalase test

Correct answer: 3. Detection of coagulase